A patient presents with claudication in both buttocks and has impotence. The clinical examination reveals bruit over lower abdomen. What is the clinical diagnosis?
1. Bilateral iliac artery occusion
2. Aortoiliac occlusion
3. Bilateral iliofemoral occlusion
4. Bilateral femoropopliteal occlusion

Correct answer: 2. Aortoiliac occlusion

Explanation: . Common site of symptomtaic atherosclerotic occlusive arterial disease of lowerlimb is infrarenal abdominal aorta and iliac arteries.Claudication in buttock,Leriche syndrome with impotence,distal ischemia are the features.Femoral artery pulsations below are absent.systolic bruit over aorta and iliac arteries may be heard suggesting stenosis. Refer page no 177,178 of SRB's manual of surgery 5 th edition.